Marfan syndrome is due to mutation of:
1. Collagen
2. Elastin
3. Fibrillin
4. Fibronectin

Correct answer: 3. Fibrillin

Explanation: Marfan syndrome is caused by mutations in the FBN1 gene on chromosome 15, which encodes Fibrillin-1. Fibrillin normally binds to TGF-b (Transforming Growth Factor) Mutated fibrillin can't bind to TGF-b. Elevated levels of TGF-b contribute to the features of Ectopia lentis, arachnodactyly, and aortic dilatation.